The fibers from the contralateral nasal hemiretina project to the following layers of the lateral geniculate nucleus
1. Layers 2,3 & 5.
2. Layers 1,2 & 6.
3. Layers 1,4 & 6.
4. Layers 4,5 &6.

Correct answer: 3. Layers 1,4 & 6.

Explanation: Look at figure 12-17 trace the nasal field of one eye it goes to layers 1,4,6 on contralateral side. Ref: Ganong's review of medical physiology;23rd edition; pg:194